The risk of carbamazepine induced Stevens-Johnson syndrome is increased in the presence of which of the following genes?
1. HLA-B* 5801
2. HLA-B* 1502
3. HLA-B* 5701
4. HLA-B 27

Correct answer: 2. HLA-B* 1502

Explanation: HLA DRUG DISEASE B1502 CARBAMAZEPINE STEVEN JOHNSON SYNDROME B5801 ALLOPURINOL SKIN REACTION B5701 ABACAVIR MI B53 MALARIA PROTECTION B27 ANKYLOSING SPONDYLITIS